All are non - parametric tests, except
1. Chi - square test
2. Kruskal - wallis 'H' test
3. Z - test
4. Sign test

Correct answer: 3. Z - test

Explanation: Parametric tests
Non parametric tests




Quantitative
Paired student t - test
Unpaired student t - test
ANOVA F - test
Z - test




Qualitative
Sign test
Chisquare test
Wilcoxan tests